Size of fibrillary proteins in amyloidosis:
1. 0-5 nm
2. 7.5-10 nm
3. 12-17 nm
4. 18-20 nm

Correct answer: 2. 7.5-10 nm

Explanation: Ans. b (7.5-10 nm). (Robbin Pathologic Basis of Diseases 5th/231)PHYSICAL NATURE OF AMYLOID# By electron microscopy, amyloid is seen made up largely of non-branching fibrils of indefinite length and a diameter of approximately 7.5 to 10 nm.# X-ray crystallography and infrared spectroscopy demonstrate a characteristic cross (3-pleated sheet conformation.# Chemical nature:- AL (amyloid light chain)- AA (amyloid associated)- AB (Alzheimer's disease)